Enophthalmos is an uncommon feature of Horner's syndrome. Enophthalmos is due to palsy of?
1. Levator palpebrae superioris
2. Superior tarsal muscle
3. Orbitalis muscle
4. Inferior tarsal muscle

Correct answer: 3. Orbitalis muscle

Explanation: Enophthalmos (sinking of the eye) is the inward displacement of the eyeball. It results from paralysis of the orbitalis muscle (a smooth muscle that spans the inferior orbital fissure and may contribute to maintaining the normal position of the eyeball).